Most common site for Adenoid cystic carcinoma is ?
1. Minor Salivary glands
2. Parotid gland
3. Submandibular gland
4. Sublingual gland

Correct answer: 1. Minor Salivary glands

Explanation: Ans. is 'a' i.e., Minor salivary glands